Any clasp assembly should encircle at Least how much of the abutment tooth?
1. 120
2. 160
3. 180
4. 360

Correct answer: 3. 180